Kartagener's syndrome includes all of the following except
1. Situs inversus
2. Bronchiectasis
3. Sinusitis
4. Cystic fibrosis

Correct answer: 4. Cystic fibrosis

Explanation: Kartagener's syndrome is associated with situs inversus ,sinusitis,and bronchiectasis Ref Harrison 19th edition pg 1695